Absorption of which of the following anti–malarial drug increases with food intake ?
1. Mefloquine
2. Lumefantrine
3. Chloroquine
4. Amodiaquine

Correct answer: 2. Lumefantrine